Setting time is the elapsed time from the start of mixing to the point at which the needle no longer makes a discernible circular indentation in the cement. The standard parameters of defining setting time are all except:
1. Setting time should be measured with a 1-mm diameter needle indenter
2. Setting time should be measured at a load of 400 g
3. Setting time should be measured at a temperature of 37°C
4. Setting time should be measured at a relative humidity of less than 90%

Correct answer: 4. Setting time should be measured at a relative humidity of less than 90%

Explanation: Setting time—The elapsed time from the start of mixing to the time at which the setting reaction essentially stops as measured by reaching a desired hardness or consistency; setting time can be measured with a 1-mm diameter needle indenter at a load of 400 g at a temperature of 37°C and a relative humidity greater than 90%.
Setting time is the elapsed time from the start of mixing to the point at which the needle no longer makes a discernible circular indentation in the cement.
Ref: Phillip’s Science of Dental Materials ed 12 pg 308